Which of the following is x-linked recessive ?
1. G-6-PD deficiency
2. Neurofibromatosis
3. Thalassemia
4. Alkaptonuria

Correct answer: 1. G-6-PD deficiency

Explanation: Ans. is 'a' i.e., G-6-PD deficiency X-linked Recessive disorders Musculoskeletal Hematological Immune Metabolic Nervous o Duchene muscular dystrophy o Hemophilia A& B o Agammaglobulinemia o Diabetes insipidus o Fragile-X-syndrome o Chronic granulomatus o G-6-PD deficiency o Wiskott-Aldrich synd. o Lesch Nyhan o Colour blindness disease syndrome X-linked dominant disorders o Vitamine D resistant rickets o Familial hypophosphatemia